Which one of the following is not used to treat leishmaniasis ?
1. Pentamidine
2. Miltefosine
3. Dapsone
4. Cyclosporine

Correct answer: 4. Cyclosporine

Explanation: Pentamidine inhibits growth of protozoa by interacting with trypanosomal kinetoplast DNA and interferes with polyamine synthesis by a decrease in the activity of ornithine decarboxylase. Miltefosine has antiproliferative activity against leishmaniasis as well as against other trypanosome parasites.Mechanism is likely due to inhibition of phospholipid and sterol biosynthesis interference with cell signal transduction pathways. Dapsone is used for cutaneous leishmaniasis. Cyclosporine is an immune suppressant and is not used to treat leishmaniasis.